A 45-year-old multiparous women was subjected to endometrial aspiration during workup for abnormal uterine bleeding. The histopathology report can reveal all of the following except
1. Secretory endometrium
2. Cystic glandular hyperplasia
3. Adenomyosis
4. Proliferative endometrium

Correct answer: 3. Adenomyosis

Explanation: Ans. C. Adenomyosisa. Adenomyosis cannot be diagnosed on endometrial sampling.b. It refers to endometrial glands and stroma located deep within the myometrium.c. The rest are endometrial findings, therefore diagnosed on endometrial sampling.